Which of the following is a cause of peripheral arterial occlusive disease
1. Buerger’s disease
2. SLE
3. Takayasu arteritis
4. All of the above

Correct answer: 4. All of the above